Gastric lavage is contraindicated in the following:
1. Barbiturate poisoning
2. Kerosene poisoning
3. Paracetamol poisoning
4. Carbolic acid

Correct answer: 2. Kerosene poisoning

Explanation: Ans. Kerosene poisoning